Recurrent breech presentation is seen In:
1. Multiparity
2. Hydraminos
3. Congenital uterine anomaly
4. Placenta praevia

Correct answer: 3. Congenital uterine anomaly

Explanation: Congenital uterine anomaly